Lipid envelope is found in which virus?
1. Reo
2. Herpes
3. Picorna
4. All of the above

Correct answer: 2. Herpes

Explanation: All RNA viruses are enveloped, except PARC (Picorna, Astro, Reo, Calciviridae).